vWF protects:
1. Factor V
2. Factor VI
3. Factor VII
4. Factor VIII

Correct answer: 4. Factor VIII

Explanation: d. Factor VIII(Ref: Nelson's 20/e p 2390, Ghai 8/e p 349)2 major functions of vWF are: Platelet adhesion via Gp Ib/IX and stabilization of factor VIII in circulation.